Which personality disorder of DSM-IV is not classified as PD & is placed with schizophrenia in ICD 10 -
1. Schizoid
2. Paranoid
3. Narcissistic
4. Schizotypal

Correct answer: 4. Schizotypal

Explanation: A schizotypal personality disorder is classified in cluster 'A' in DSM-IV-TR classification. In ICD- 10 classification schizotypal disorder is classified with schizophrenia and related disorder.